Left kidney transplantation will be placed in which place?
1. Iliac fossa
2. Kidney fossa
3. Retroperitoneal space
4. Hypogastric region

Correct answer: 1. Iliac fossa

Explanation: Iliac fossa - Renal graft is placed in iliac fossa leaving the native kidney in-situ (in Retroperitoneal location) - Left kidney is preferred for Renal transplantation because of longer left renal vein. - Recipient has 3 kidneys after renal transplantation